Due to direct effect of infection of tissues by HIV are the HIV/AIDS associated
1. Cardiomyopathy
2. Enteropathy
3. Arthrofibromyalgia
4. All of the above

Correct answer: 4. All of the above

Explanation: Ans. d (All of the above) (Ref. H - 18th/ 316)DIRECT EFFECTS/MANIFESTATIONS OF HIVDiseases of the Cardiovascular System# Acute bronchitis and sinusitis# Lymphoid interstitial pneumonitis (LIP)# Nonspecific interstitial pneumonitis (NIP).Diseases of the Cardiovascular System# HIV-associated cardiomyopathy (the most common clinically significant finding is a dilated cardiomyopathy associated with congestive heart failure - HIV cardiomyopathy)# Pericardial effusionsDiseases of the Oropharynx and Gastrointestinal System# Thrush# Hairy leukoplakia# Aphthous ulcers# Achlorhydria# AIDS enteropathy or HIV enteropathy (chronic diarrheal syndrome)Genitourinary tract# HIV-associated nephropathy# SIADH# HypogonadismMusculoskeletal# HIV- or AIDS-associated arthropathy# Painful articular syndrome# Arthralgias# Fibromyalgia# Reactive arthritis# Diffuse infiltrative lymphocytosis syndromeDermatological effects# Eosinophilic pustular folliculitis# Seborrheic dermatitis# KSNeurological diseases# Aseptic meningitis# HIV encephalopathy (AIDS dementia complex)# Stroke# Primary CNS lymphoma# Spinal cord disease, or myelopathy# Peripheral neuropathies# MyopathyOphthalmologic Disease# The most common abnormal findings on funduscopic examination are cotton-wool spots.Neoplasms# KS# Non-Hodgkin's lymphoma# Hodgkin's disease# Multiple myeloma# Leukemia# Melanoma; and# Cervical# Brain# Testicular# Oral# Lung, and# Anal cancers.